Sexual perversion in which one has desire to see other person/wife having sex with others -
1. Sadism
2. Exhibitionism
3. Voyeurism
4. Fetishism

Correct answer: 3. Voyeurism

Explanation: Ans is 'c' i.e. Voyeurism o Watching sexual activity of other people or the body parts of members of opposite sex is k/a Voyeurism Other abnormalities in the sexual actA. Exhibitionism:- Exposure of one's genital organs to strangers or others.B. Sadism:- Sadism involves infliction of pain or humiliation on the partner (e.g., whipping, beating, strangulation, etc.)C. Masochism:- It is opposite to sadism, i.e., sexual excitement is achieved by self-inflicted pain by the sexual partner (e.g., being whipped, beaten, strangulated etc).D. Frotterurism:- Fondling or rubbing against the body of unfamiliar women in public places followed by masturbation.o Fetishism is having sexual pleasure using shoes or clothes of other sex.